Which is not true of mandible ?
1. From second pharyngeal arch
2. Body and ramus are its two parts
3. Strongest bone of skull
4. Has 16 sockets for teeth

Correct answer: 1. From second pharyngeal arch

Explanation: The mandible, or the lower jaw, is the largest and the strongest bone of the face.It develops from the first pharyngeal arch. It has a horseshoe-shaped body which lodges the teeth, and a pair of rami which project upwards from the posterior ends of the body.The rami provide attachment to the muscles of mastication.Upper (alveolar) border of body bears sockets for teeth (usually 16).